The standard of care in splenctomy patients involves use of all the above vaccines except -
1. H Influenzae type b
2. Meningococcal vaccine
3. Pneumococcal vaccine
4. Typhoid vaccine

Correct answer: 4. Typhoid vaccine

Explanation: Ans. is 'd' i.e., Typhoid vaccine o Currently, the standard of care for postsplenectomy patients includes immunization within 2 weeks of splenectomy with:# Polyvalent pneumococcal vaccine (PPV23),# H. influenzae type b conjugate, and# Meningococcal polysaccharide vaccine